Goekarman regimen used in for treatment of psoriasis is?
1. UVB plus coal tar
2. UVB plus anthralin
3. Coal tar plus anthralin
4. UVB plus methotrexate

Correct answer: 1. UVB plus coal tar

Explanation: Goekerman regimen was invented for the treatment of mild to moderate psoriasis. In this therapy application of crude coal tar application for 2-10 hours is followed by exposure to UVB light. Treatment is now obsolete. Similarly UVB plus anthralin combination is known as Ingram regimen. Ref : Thomas b Habif 6th Ed.